Topical Mitomycin C is useful in treatment of
1. Angiofibroma
2. Tracheal stenosis
3. Skull base Osteomyelitis
4. Laryngeal carcinoma

Correct answer: 2. Tracheal stenosis

Explanation: Dilation for laryngotracheal stenosis is typically done using serial dilation using various sizes of Jackson bronchoscopes. The various studies have showed that mechanical dilation used alone can have a recurrence rate of stenosis of greater than 90%. Thus, various adjunctive procedures have been developed in order to try to decrease the rate of restenosis. Mitomycin-C is an example of one of these adjunctive agents. Ref : Internet sources